Most favorable prognosis after radiotherapy is in -
1. Melanoma
2. Teratoma
3. Seminoma
4. Desmoid

Correct answer: 3. Seminoma

Explanation: Answer is 'c' i.e. Seminoma